Aphasia which affects the arcute fibres is called?
1. Global aphasia
2. Anomic aphasia
3. Conduction aphasia
4. Broca's aphasia

Correct answer: 3. Conduction aphasia

Explanation: *Speech output is fluent but para phasic,c comprehension of spoken language is intact and repetition is severely impaired.naming and writing are also impaired. Reading aloud is impaired. Lesion sites spare Broca's and Wernicke's area but may induce a functional disconnection between the 2. Ref Harrison20th edition pg 2456